Most common salivary gland tumor -
1. Mucoepidermoid carcinoma
2. Pleomorphic adenoma
3. Warthims tumor
4. Oncocytoma

Correct answer: 2. Pleomorphic adenoma